Transfusion of stored blood causes: (Repeat)
1. Hyperkalemia
2. Hyponatremia
3. Hypercalcemia
4. Hypokalemia

Correct answer: 1. Hyperkalemia

Explanation: Ref: Harrison's 18th editionExplanation:The two important electrolyte disturbances caused by transfusion of stored blood areHyperkalemiaHypocalcemia.RBC leakage during storage increases the concentration of potassium in the unit.Neonates and patients in renal failure are at risk for hyperkalemia.Preventive measures, such as using fresh or washed RBCs. are warranted for neonatal transfusions because this complication can be fatal.Citrate, commonly used to anticoagulate blood components, chelates calcium and thereby inhibits the coagulation cascade.Hypocalcemia, manifested by circumoral numbness and tingling sensation of the fingers and toes, may result from multiple rapid transfusions.Because citrate is quickly metabolized to bicarbonate, calcium infusion is seldom required in this setting.If calcium or any other intravenous infusion is necessary, it must be given through a separate tine.